A 6 year old child was accused of a murder. Criminal responsibility under IPC is not present if age is below:
1. 5 years
2. 7 years
3. 12 years
4. 18 years

Correct answer: 2. 7 years

Explanation: Any act which is done by a child under seven years of age is not an offence (Sec. 82,I.P.C.). A child between seven and 12 years is presumed to be capable of committing an offence, if he attained "sufficient maturity of understanding to judge the nature and consequences of his conduct on that occasion" (Sec. 83,I.P.C.). Ref: The Essentials of Forensic Medicine and Toxicology by Dr K. S.Narayan Reddy, 27th edition, Page 73.